Which of the following is the least common bacteria responsible for Acute Exacerbation of Chronic Bronchitis
1. Streptococcus pneumoniae
2. Moraxella catarrhalis
3. Haemophilus influenza
4. Staphylocccus aureus

Correct answer: 4. Staphylocccus aureus

Explanation: Ans. is 'd' i.e., Staphylocccus aureus Most common bacterias associated with acute excerbation in COPD Hemophilus influenzae Moraxella catarrhalis Streptococcus pneumoniae